Outright or full-blown AIDS is characterized by:
1. CD4 T-cell<800 cells/mm3
2. CD4 T-cell<600 cells/mm3
3. CD4 T-cell<400 cells/mm3
4. CD4 T-cell<200 cells/mm3

Correct answer: 4. CD4 T-cell<200 cells/mm3